Ion which promotes glucose absorption in the gut region:
1. CI ?
2. K+
3. Na+
4. Ca2+

Correct answer: 3. Na+

Explanation: Ans. C: Na+Glucose enters cells by facilitated diffusion or, in the intestine and kidneys, by secondary active transport with Na+. In muscle, fat, and some other tissues, insulin facilitates glucose entry into cells by increasing the number of glucose transporters in the cell membranes.The glucose transporters that are responsible for facilitated diffusion of glucose across cell membranes are a family of closely related proteins that cross the cell membrane 12 times and have their amino and carboxyl terminals inside the cell. They differ from and have no homology with the sodium-dependent glucose transporters, SGLT 1 and SGLT 2, responsible for the secondary active transport of glucose out of the intestine, although the SGLTs also have 12 transmembrane domains. Particularly in transmembrane helical segments 3, 5, 7, and 11, the amino acids of the facilitative transporters appear to surround channels that glucose can enter. Presumably, conformation then changes and glucose is released inside the cell.